Which branch of facial nerve supplies muscles of lower lip?
1. Temporal branch
2. Cervical branch
3. Buccal branch
4. Mandibular branch

Correct answer: 4. Mandibular branch

Explanation: Ans. D Mandibular branchRef: Gray's Anatomy 41st ed. P 502Branches of facial nerve on face:* Temporal branch: Aka frontal branch; supplies muscles of forehead and orbicularis oculi muscle* Zygomatic branch: Supplies upper cheek and orbicularis oculi muscle* Buccal branch: Emerges from anterior border of parotid gland below parotid duct to supply buccinator and muscles of upper lip and nostril.* Mandibular branch: Emerges from anterior border of parotid gland to supply muscles of lower lip.* Cervical branch: Emerges from lower border of parotid gland, it descends in the neck to supply platysma muscle + depressor anguli oris muscle.* Book states: "There are two marginal mandibular branches. They run forward under platysma towards angle of mandible. The branches supply risorius and the muscles of the lower lip and chin, and filaments communicate with the mental nerve"Extra Mile* Orbicularis oris muscle is also supplied by mandibular branch of facial nerve